Which is not transmitted by arthropod :
1. Rickettsia prowazaki
2. Coxiella burneti
3. Rickettsia akasi
4. Rickettsia rickettsi

Correct answer: 2. Coxiella burneti

Explanation: Ans. is 'b' i.e. Coxiella Burnetti "Rickettsia is a small obligate intracellular parasite and except for Q fever (caused by Coxiella burnetti) are transmitted to human by Arthropod"Human Diseases Caused By RickettsiaOrganism Disease Vector* Rickettsia prowazekii Epidemic Typhus* louse** Rickettsia typhi Endemic Typhus* Flea** Orientia Tsutsugamushi Scrub Typhus* Mite** Rickettsia Ricketsei Rocky mountain* spotted fever* Tick** Rickettsia Akari Rickettsialpox* Mite** Coxiella Burnetti Q fever * Airborne fomites*